Which test uses oligomer with single base pair substitution as primer
1. PCR
2. RFLP
3. Error coded mutation analysis with PCR
4. Site directed mutagenesis

Correct answer: 4. Site directed mutagenesis

Explanation: D i.e. Site directed mutagenesis Site directed mutagenesis and oligonucleotide directed mutagenesis uses oligomer with single base pair substitution as primerQ to create a specific DNA sequence change (in gene), thus producing modified proteins with changes in primary structure of protein. This helps researchers to examine the effect of these changes on 3-D structure, folding & activity of protein.